A 55-year-old female presents with tinnitus, dizziness and history of progressive deafness. Differential diagnosis includes all except:
1. Acoustic neuroma
2. Endolymphatic hydrops
3. Meningioma
4. Histiocytosis X

Correct answer: 4. Histiocytosis X

Explanation: Acoustic neuroma and endolymphic hydrops (Meniere's syndrome) present with tinnitus, dizziness and progressive hearing loss. This also holds true for meningiomas which involve cerebellopontine (CP) angle. Nearly 10% of tumors of CP angle are meningiomas.Histiocytosis X. presently called Langerhans cell histiocytosis, is a rare disease which may involve temporal bone (as eosinophilic granuloma) or multiorgan disorder involving skull, long bones, ribs, vertebrae, pelvis, maxilla and mandible, and other non-osseous organs. Langerhans cells are involved in cell-mediated immunity, cause osteolytic lesions in bones and recruit eosinophils. Eosinophilic granuloma is a milder form of Langerhans cell histiocytosis which can involve temporal bone.